Inversion is -
1. Sole of the foot upward
2. Sole of the foot outward
3. Sole of the foot inward
4. Sole in the neutral postion

Correct answer: 3. Sole of the foot inward